In balanced force technique used for canal preparation:
1. Apical force is applied
2. Lateral force is applied
3. Both the forces are applied
4. No force application

Correct answer: 1. Apical force is applied

Explanation: Balanced force concept uses Flex-R ﬁle and is described as "Positioning and pre-loading an instrument through a clockwise rotation and then shaping the canal with a counterclockwise rotation". 
Many authors discovered that greater risk of instrument damage was associated with clockwise movement. 
For best results, preparation is completed in a step-down approach. 
After mechanical shaping of coronal and middle thirds with Gates-Glidden drill, insertion of the instrument is done with a quarter turn clockwise rotation while slight apical pressure is applied. 
Cutting is accomplished by making a "Counterclockwise rotation". 
The counter-clockwise rotation and apical pressure act together to enlarge and shape the canal to the diameter of the instrument. 
The clockwise rotation should not exceed 90° while the counterclockwise motion must be 120° degrees or greater.